Ranking students from the individual which the highest
grade — point average to the lowest is an example of a (an)
1. Ordinal scale
2. Nominal scale
3. Interval scale
4. Ratio scale

Correct answer: 1. Ordinal scale